Health education is the responsibility of
1. Health educationalist
2. Doctor
3. Paramedical staff
4. Every health worker

Correct answer: 4. Every health worker